In translation process, proof reading of mRNA is done by:
1. RNA polymerase
2. Aminoacyl tRNA synthetase
3. Leucine zipper
4. DNA

Correct answer: 2. Aminoacyl tRNA synthetase

Explanation: Amino acyl tRNA synthetase which recognises the specific tRNA is a proof reading mechanism.
Reference- Harper 30th edition Pg- 415